Following are the characteristics of Cryptococcus neoformans EXCEPT
1. Noncapsulated fungus infecting man
2. Causes meningitis
3. Melanin production related to virulence
4. Basidiomycetes yeast

Correct answer: 1. Noncapsulated fungus infecting man